What is the minimum age of vaccination of human papilloma virus vaccine?
1. 11 years
2. 9 years
3. 15 years
4. 13 years

Correct answer: 2. 9 years

Explanation: - Minimum age to administer HPV vaccine is 9yrs HPV vaccine: - Two vaccines licensed globally are available in India Quadrivalent vaccine (Gardasil(tm) marketed by Merck)- Protects against HPV serotypes 6 ,11,16 & 18. Bivalent vaccine (Cervarix(tm) marketed by Glaxo Smith Kline) - Protects against HPV serotypes 16 and 18. Both vaccines are manufactured by recombinant DNA technology. - These vaccines prevents cervical in situ neoplasia grade 2,3 & adenocarcinoma in situ - Gardasil also prevents serotype related genital was, vaginal & vulvar intraepithelial neoplasia.